Treatment of squamous cell carcinoma of anal canal not involving the deeper structures include
1. Abdomino pereneal resection
2. Wide local excision + Radiotherapy
3. Wide local excision + Chemoradiation
4. Chemoradiation

Correct answer: 4. Chemoradiation

Explanation: Anal cancer # Uncommon tumour, which is usually a squamous cell carcinoma # Associated with HPV # More prevalent in patients with HIV infection # May affect the anal verge or anal canal # Lymphatic spread is to the inguinal lymph nodes # Treatment is by chemoradiotherapy in the first instance # Major ablative surgery is required if the above fails Ref: Bailey & Love's Short Practice of Surgery,E25,Page-1269